Enzyme involved in Von Girke disease is?
1. Muscle glycogen Phosphorylase
2. Glucose 6 Phosphatase
3. Debranching enzyme
4. Branching enzyme

Correct answer: 2. Glucose 6 Phosphatase

Explanation: Ans. (b) Glucose 6 PhosphataseRef: Harper's Biochemistry 27th ed ch-19